Claudius cells are seen in:
1. Canal of Schlemm
2. Organ of Corti
3. Parenchyma of parathyroid gland
4. Alveoli

Correct answer: 2. Organ of Corti

Explanation: (Refer: en.m.wikipedia.org/wiki/Claudius cells)
Organ of Corti

Sense organ of hearing.
Situated on the top of the basilar membrane in scala media.
Contains auditory receptors or peripheral receptors of hearing.